Radiolagical features in rickets ?
1. Cupping of distal end of radius
2. Widening of distal end of metaphysis
3. Thickening of growth plate
4. All of the above

Correct answer: 4. All of the above

Explanation: In rickets,radiological changes are characteristically seen at the metaphysis.The first change is loss of normal zone of provisional calcification adjacent to the metaphysis.This begins as an indistinctness of the metaphyseal margin,progressing to a frayed appearance with widened growth plate due to lack of calcification of metaphyseal bone.Weight bearing and stress on uncalcified bone gives rise to splaying and cupping of metaphysis.Eventually,a generalised reduction in bone density is seen. Reference:Essential pediatrics-Ghai,8th edition,page no:113